Most commonly used statistical average -
1. Mean
2. Median
3. Mode
4. None

Correct answer: 1. Mean

Explanation: Arithmetic mean 

It is the most commonly used statistical average.
To calculate mean, add up the values of all individual observation and then divide by the number of observations.
The process of adding together is called summation and is denoted by the sign ∑ or S.
The individual observation is denoted by ŋ
The mean is denoted by the sign X.
Example :-